Dengue shock syndrome occurs due to
1. Super-imposed Bacterial infection
2. Capillary Leak
3. Addison's Crisis
4. Myocarditis

Correct answer: 2. Capillary Leak